Best bone to assess age between 20-50 years:
1. Skull
2. Ribs
3. Sternum
4. Symphysis pubis

Correct answer: 4. Symphysis pubis

Explanation: Ans. Symphysis pubis